Smith Noguchi's media is used for
1. Salmonella
2. Klebsiella
3. Spirochetes
4. Bacillus

Correct answer: 3. Spirochetes

Explanation: Smith-Noguchi Medium (by using living tissue) - Anaerobic media. Used for Cultivation of nonpathogenic treponemes E.g. Reiter strain of Treponema phagedenis - Spirochetes) Salmonella - Wilson and Blair bismuth sulphite medium is best selective medium Klebsiella - On MacConkey Agar, these are lactose fermentors Bacillus - PLET media is best for culture